The X-linked dominant one is
1. Fragile X syndrome
2. Vitamin D resistant rickets
3. Duchenne muscular dystrophy
4. Myotonic dystrophy

Correct answer: 2. Vitamin D resistant rickets

Explanation: (B) Vitamin D resistant rickets # X-linked Dominant:; Amelogenesis imperfects; Bipolar depressive psychosis; Goltz's syndrome; hypophosphatemia; Oral-facial- digital syndrome; Vitamin D resistant rickets.